All of the following features can be observed after the injury to axillary nerve, except -
1. Loss of rounded contour of shoulder
2. Loss of sensation along lateral side of upper arm
3. Loss of overhead abduction
4. Atrophy of deltoid muscle

Correct answer: 3. Loss of overhead abduction

Explanation: Muscles responsible for abduction of the shoulder joint
-        Supraspinatus- first 15 degrees of abduction
-        Deltoid (Acromial fibers) - it is responsible for abduction from 15 to 90 degrees. It does not take part in overhead abduction.
-        Trapezius and serratus anterior- They are responsible for upward rotation of the glenoid cavity. And thus helps in abduction over 90 degrees.